Following delivery when does maximal milk output occur in the mother?
1. 3 months
2. 5 months
3. 9 months
4. 12 months

Correct answer: 2. 5 months

Explanation: Under normal conditions breast milk production reaches a maximum when the baby is around 4 - 6 months.